Most common cause of central precocious puberty in girls:
1. Exogenous estrogen
2. Idiopathic
3. CNS tumor
4. Hypothyroidism

Correct answer: 2. Idiopathic

Explanation: - MCC of central precocious puberty in girls is Idiopathic. - Organic causes are more common in boys. - OTHER CAUSES: Infections - TB, meningitis Injuries - Trauma, neurosurgery, Radiotherapy Tumors - Hypothalamic hamartoma (Gelastic seizures)- MCC of organic central precocious puberty CNS malformations like arachnoid cyst ,hydrocephalus, septo-optic dysplasia